Site for external cardiac massage is:
1. Lower third of sternum.
2. Junction of body and manubrium sterni
3. Xiphoid process
4. 2 fingers left to xiphoid process

Correct answer: 1. Lower third of sternum.

Explanation: Ans. A: Lower third of sternum The rescuer stand on the right side of the patient, lock one hand over other and provide compression over the lower third of sternum (2 fingers above the xiphoid process). Before advanced airway (i.e.by mouth to mouth, bag and mask ventilation) the ratio should be 30:2 (30 compressions followed by 2 breaths) After advanced airway (i.e. endotracheal tube), compressions is continued at 100 compressions/ minute and breathing rate of 8-10 breaths/ minute with no synchronization i.e. no pause for ventilation.